Eutectic lignocaine-prilocaine has the following unique property?
1. It causes motor blockade without sensory block
2. By surface application, it can anaesthetize unbroken skin
3. It is not absorbed after surface application
4. It has strong vasoconstrictor action

Correct answer: 2. By surface application, it can anaesthetize unbroken skin

Explanation: Lignocaine or prilocaine cannot anaesthetize intact skin.The eutectic mixture is the combination of equal proportions of lignocaine and prilocaine at 25deg C.This mixture has a lower melting point than any of the two ingredients. It helps to make the preparation oily that can be applied on the intact skin.The eutectic mixture can be used to anaesthetize intact skin.